Digoxin toxicity is aggrevated by
1. Hypokalemia
2. Hyperkalemia
3. Hypermagnesimaia
4. Hypocalcemia

Correct answer: 1. Hypokalemia

Explanation: Hypokalemia is usually observed with chronic toxicity or in patients taking diuretics; it reduces the rate of Na+/K+ ATPase pump turnover and exacerbates pump inhibition due to digitalis. Hyperkalemia is the usual electrolyte abnormality precipitated by digoxin toxicity, primarily in the acute setting Refer kDT 6/e p499